Engagement of fetal head is with reference to
1. Biparietal diameter
2. Bitemporal diameter
3. Occipitofrontal diameter
4. Suboccipitofrontal diameter

Correct answer: 1. Biparietal diameter

Explanation: Engagement is said to occur when the largest transverse diameter of fetal head crosses the pelvic inlet. Largest transverse diameter of fetal head is biparietal diameter